Amyloidosis is associated with all of the following except:
1. Multiple myeloma
2. Renal failure
3. Alzheimer's disease
4. Acute inflammatory conditions

Correct answer: 4. Acute inflammatory conditions

Explanation: Ans: D i.e. Acute inflammatory conditions Amyloidosis In many cases of primary amyloidosis, the patients have some form of plasma cell dyscrasia. Best defined is the occurrence of systemic amyloidosis in 5% to 15% of individuals with multiple myeloma, a plasma cell tumour characterized by multiple osteolytic lesions throughout the skeletal system Patients on long term hemodialysis for renal failure develop amyloidosis as a result of deposition of beta-2 microglobulin. Alzheimer's disease may cause systemic senile amyloidosis/localized amyloidosis At one time, TB, Bronchiectasis and chronic osteomyelitis were the most important underlying conditions for reactive systemic amyloidosis. More commonly now, reactive systemic amyloidosis complicates rheumatoid arthritis, other connective tissue disorders such as ankylosing spondylitis, and inflammatory bowel disease (Crohn disease and Ulcerative colitis).